Thrombotic event is seen in all of following except:
1. Paroxysmal nocturnal hemoglobinuria
2. Disseminated intravascular coagulation
3. Idiopathic thrombocytopenic purpura
4. Heparin induced thrombocytopenia

Correct answer: 3. Idiopathic thrombocytopenic purpura

Explanation: *PNH is seen due to PIGA gene defect - Pancytopenia Altered function of platelets - | risk of thrombosis Especially in cerebral & hepatic veins - | Mortality *DIC is thrombo-hemorrhagic disorder *Heparin-induced thrombocytopenia has ab produced against platelet factor 4. Also associated with | risk of thrombosis *In ITP, Immune dysfunction characterized by ab formation against Platelet antigen. - Pt sequestration Coombs +ve, Hemolytic anemia -| platelet count - Bleeding